A five year old child presents to the emergency department with burns. The burn area corresponding to the size of his palm is equal to
1. 1% BSA
2. 5% BSA
3. 10% BSA
4. 20% BSA

Correct answer: 1. 1% BSA

Explanation: Ans is 'a' i.e., 1% BSA Estimation of body surface area (BSA) of burn o Rough estimate of body surface area of burn can be estimated by following rules. Rule of Palm (Palmar method) o It can be used in Children as well as in adults. o It is used for small burns ( o The palm of patients hand represents I% of BSA. Palm is the area of hand from wrist crease to the finger crease. o Entire burned hand represents 2.5% of BSA: 1 /% for palm; 1% for dors um of the hand (excluding fingers);0. 5% for the fingers. Rule of 9 o It can be used in adults and children older than 14 years. o It is used for larger surface area burns. o Estimates the body surface area of an adult in multiples of 9. o An adult who has been burned, the percent of the body involved can be calculated as follows: Head and Neck = 9% Anterior chest = 9% Anterior abdomen =9% Upper back = 9% Lower back = 9% Right upper extremity (Anterior + Posterior) = 9% Left upper extremity (Anterior + Posterior) = 9% Right lower extermity, Anterior = 9% Right lower extremity, Posterior = 9% Left lower extremity, anterior = 9% Left lower extremity, Posterior = 9% Perenium = 1% o Percent of the burn in a child can be calculated as follows: Head and neck = 9% Anterior trunk = 18% Posterior trunk = 18% Upper extremity (Right) = 9% Upper extremity (Left) = 9% Lower extremity (Right) = 18% Lower extremity (Left) = 18% Perenium = 1%